Tm for glucose is:
1. 500
2. 440
3. 350
4. 150

Correct answer: 3. 350

Explanation: Ans. C. 350a. The renal active transport systems have a maximum rate at which they can transport a particular solute.b. This is known as TRANSPORT MAXIMUM OR TM for that solute.c. The Tm of glucose is know as TmG and is 375 mg/min in men and 300 mg/mm in women.